Which of the following drugs is used for Narcoanalysis?
1. Atropine
2. Phenobarbitone
3. Scopolamine
4. Pethidine

Correct answer: 3. Scopolamine

Explanation: For the purpose of investigation, the application of forensic medicine plays a vital role. Nacro analysis is one of the methods used for lie detection. Scopolamine is one of the drugs used in Narcoanalysis. The truth serum drugs used in narcoanalysis are : 1. Scopolamine 2. Sodium Pentathal 3. Sodium Amytal 4. Sodium Seconal Ref: The Essentials of Forensic Medicine and Toxicology By Dr. K. S. Narayan Reddy, 27th Edition, Pages 435-436.